Which of the following arterial trunk give rise to uterine artery?
1. Aorta
2. Common iliac
3. Internal iliac
4. External iliac

Correct answer: 3. Internal iliac

Explanation: Uterine artery is a branch from the anterior trunk of internal iliac artery. In females, the uterine artery courses within the base of the broad ligament, superior to the ureter before reaching the cervix. At the cervix, the uterine artery ascends along the lateral margin of the uterus to the uterine tube and forms an anastomosis with the ovarian artery. During pregnancy, the uterine artery enlarges significantly to supply blood to the uterus, ovaries, and vaginal walls. Other branches from the anterior trunk of internal iliac artery: Umbilical artery Obturator artery Inferior vesical and vaginal artery Middle rectal artery Internal pudendal artery Inferior gluteal artery Ref: Morton D.A., Foreman K.B., Albertine K.H. (2011). Chapter 12. Pelvis and Perineum. In D.A. Morton, K.B. Foreman, K.H. Albertine (Eds), The Big Picture: Gross Anatomy.